Largest fetal head diameter:
1. Occipitofrontal
2. Suboccipitofrontal
3. Mentovertical
4. Submentovertical

Correct answer: 3. Mentovertical

Explanation: Ans. C: Mentovertical Occipitofrontal (11.5 cm)-extends from the occipital eminence to the root of the nose Suboccipitofrontal (10 cm)-extends from the nape of the neck to the anterior end of the anterior fontanelle Mentovertical (14 cm)-extends from the midpoint of the chin to the highest point on the sagittal suture Submentovertical (11.5 cm)-extends from the junction of floor of the mouth and neck to the highest point on the sagittal suture.